Portal vein is related to all except:
1. Pancereas
2. Gall bladder
3. Inf. vena cava
4. CBD

Correct answer: 2. Gall bladder

Explanation: Ans. is 'b' i.e. Gall Bladder Portal vein is formed by the union of the superior mesentric and splenic vein* behind the neck of the pancreas*.It then runs upwards first behind the neck of the pancreas, next behind the first part of duodenum and lastly in the right free margin of lesser omentum. It then ends by dividing into it & left branches which enter the liver.Thus the portal vein can be divided into infraduodenal, retroduodenal and supraduodenal parts.Relations :Infraduodenal partAnteriorly: neck of pancreasposteriorly: IVCRetroduodenal partAnteriorly : first part of duodenum: CBD: Gastroduodenal arteryposteriorly: IVCSupraduodenal arteryAnteriorly: hepatic artery: Bile ductPosteriorly: IVC (separated by epiploic foramen)